Following an attack of myocardial infarction the mortality and morbidity of the patient is indicated by
1. Ventricular extra systole
2. Left ventricular ejection fraction
3. Duration of syncope
4. Percentage of narrowness of coronary artery

Correct answer: 2. Left ventricular ejection fraction

Explanation: Answer is B (Left ventricular ejection fraction) Pump failure is now the primary cause of in hospital death following MI. The degree of pump failure relates well with mortality. The most sensitive index of cardiac function amongst the options provided is 'ejection fraction' i.e. the ratio of stroke volume to end diastolic volume. This is thus the best indicator of mortality & morbidity following ML